Oral and topical drug for nasal decongestion is ?
1. Phenylephrine
2. Histamine
3. Methoxamine
4. Dopamine

Correct answer: 1. Phenylephrine

Explanation: Ans. is 'a' i.e., Phenylephrine Phenvlephrine It is selective alpha 1 agonist. Topically it is used as nasal decongestant and in eye for producing mydriasis when cycloplegia is not required. It is also a part of oral nasal decongestant preparations.